Varicocele is common on left testis because:
1. Left testicular vein drains into IVC which has high pressure
2. Left testicular vein drains into left renal vein which has high pressure
3. Left testis is lower situated
4. Compression of testicular vein by rectum

Correct answer: 2. Left testicular vein drains into left renal vein which has high pressure

Explanation: Ans. (b) Left testicular vein drains into left renal vein which has high pressureCauses for varicocele common on left side:* Left testicular vein drains into the left renal vein and has more chances of blockage.* Total length of Left testicular vein is more on the Left side than on Right sides.* In about 15% cases testicular artery arches over the left renal veins and obstructs it.* Left renal vein passes in between the superior Mesenteric A and the abdominal aorta behind; and thus compressed between the two arteries;* Loaded sigmoid colon compresses on the left side.* Left suprarenal vein also drains into Left renal vein and hence circulating adrenaline may cause constriction.* Incompetent valves are more common on Left side* Renal cell carcinoma can invade into the Renal vein obstructing the testicular Vein on Left side; (Varicoele that is Irreducible.)* Perpendicular drainage of testicular vein into renal vein on left side.